Right kidneys anterior relation: all are devoid of peritoneum, except
1. Duodenum
2. Supra renal gland
3. Colon
4. Liver

Correct answer: 4. Liver

Explanation: Question simply is: Which is not a retroperitoneal structure - LiverRight kidney anterior relation are:Anteriorly the right kidney is related to the Liver, duodenum and hepatic flexure of ascending colonAnteriorly the left kidney is related to Stomach, Jejunum, Pancreas, Spleen and descending ColonAdrenal gland is superior and anterior to the Kidneys